Lehriche syndrome is characterized by presence of arterial insufficiency in -
1. Aorto- iliac artery
2. Superficial femoral artery
3. Temporal artery
4. Brachial artery

Correct answer: 1. Aorto- iliac artery

Explanation: Ans. is 'a' i.e., Aorto- iliac artery Intermittent claudication:* Intermittent claudication is a cramp-like pain felt in the muscles that is:i) Brought on by walking;ii) Not present on taking the first step (unlike osteoarthritis);iii) Relieved by standing still (unlike nerve compression from a lumbar intervertebral disc prolapse or osteoarthritis of the spine or spinal stenosis).* The distance that a patient is able to walk without stopping varies only slightly from day to day.* It is altered by walking up hill, the speed of walking, carrying heavy weights and changes in general health, such as anaemia or heart failure.* The pain of claudication is usually felt in the calf because the superficial femoral artery is the most commonly affected (70 per cent of cases).* Aortoiliac disease (30 per cent of cases) may cause thigh or buttock claudication. Buttock claudication in association with sexual impotence resulting from arterial insufficiency is eponymously called Leriche's syndrome. It is very rare.